The short acting anticholinesterase drug is:
1. Edrophonium
2. Demecarium
3. Dyflos
4. Ectothiophate

Correct answer: 1. Edrophonium